In a standing man, in midaxillary line, lower border of pleura reaches:
1. 6th rib
2. 8th rib
3. 10th rib
4. 12th rib

Correct answer: 3. 10th rib

Explanation: Surface marking of pleura"All the even ribs, in order: 2, 4, 6, 8, 10, 12 show its route":Rib2: Sharp angle inferiorlyRib4: The left pleura does a lateral shift to accommodate heartRib6: Both diverge laterallyRib8: Midclavicular lineRib10: Midaxillary lineRib12: The back